New auxiliary types:
1. Dental hygienist with expanded duties
2. Frontier auxiliaries
3. Technotherapist
4. Dental licentiate, dental aide

Correct answer: 4. Dental licentiate, dental aide